Suppose a body is lying in a desert and the person had been suffering from chronic arsenic poisoning while alive. Which one of the following is the MOST possible finding in the body?
1. Adipocere formation
2. Mummification
3. Aseptic acetolysis
4. Saponification

Correct answer: 2. Mummification

Explanation: The conditions ideal for mummifications are high temperature, dry environment and freely circulating air around the body. Chronic arsenic and antimony poisoning also inhibit bacterial growth and promote mummification. So in this scenario mummification is most likely. Also know Saponification or adipocere formation occurs in warm and humid region in the absence of free circulation of air. Ref: Textbook of Forensic Medicine and Toxicology by Narayan Reddy, Edition 23, Page - 138.